Phlegmon; all are true except
1. The tissue is tender, painful and hard to touch.
2. Pain, fever, malaise are aggressive.
3. It is rapidly spreading infection of subcutaneous tissue due to micro-organism  like staphylococci.
4. Is caused due to micro-organism which are capable to produce hyaluronidase which breakdown intercellular cementing substance hyaluronic acid.

Correct answer: 3. It is rapidly spreading infection of subcutaneous tissue due to micro-organism  like staphylococci.

Explanation: Cellulitis (Phlegmon)
→ Diffuse swelling of face with no defined margins.
→ The tissue are tender, painful, hard to touch.
→ Pain, fever, malaise, exhaustion, all features are more aggressive.
→ It takes 3-7 days to develop.
→ Spreading factor of Duran and Reynals.
→ Rapidly spreading infection of subcutaneous tissue due to micro-organism which are capable to produce hyaluronidase which breakdown intercellular cementing substance hyaluronic acid.
→ Streptococci is more involved in causing cellulitis than staphylococci.
→ Streptocci produce enzymes such as : Streptokinase (fibrinolysin), hyaluronidase, and streptodornase.
→ These enzymes breakdown fibrin and connective tissue ground substance and lyse cellular debris. Thus facilitate rapid spread of bacteria along the tissue planes.